Two months after tonsillectomy the patient has referred pain to ear, cause is -
1. Temporomandibular joint dislocation
2. Injury to glossopharyngeal (9th cranial) nerve
3. Injury to vagus nerve
4. Infection of tonsillar bed

Correct answer: 2. Injury to glossopharyngeal (9th cranial) nerve